A patient presents with malignant hyperthermia and metabolic acidosis. Immediate treatment should be started with
1. Intravenous Dantrolene
2. Sodium bicarbonate
3. Intravenous fluids
4. Paracetamol

Correct answer: 1. Intravenous Dantrolene

Explanation: IV dantrolene (1mg/kg repeated if required) is the life saving drug in malignant hyperthermia. Oxygen inhalation, treatment of acidosis and immediate cooling of body may also help. Ref: KD Tripathi 8th ed.